Which of the following is the safest method of sterilization in immediate post partum period :
1. Minilaparotomy
2. Laparoscopy
3. Hysteroscopic method
4. None

Correct answer: 1. Minilaparotomy

Explanation: Minilaparotomy